True statements regarding halothane is :
1. Hepatitis occurs in susceptible individuals after repeated dose
2. It potentiates competitive neuromuscular blockers
3. Causes respiratory depression
4. All of the above

Correct answer: 4. All of the above